Which of the following is used for improving long term prognosis in COPD with resting hypoxemia:
1. Oxygen
2. Beta-2 agonist
3. Inhaled steroids
4. Systemic steroids

Correct answer: 1. Oxygen

Explanation: Ans. A : Oxygen Long term home oxygen therapy improves survival in selected patients with COPD complicated by severe hypoxemia (arterial Pa02 less than 8.0 kPa/ 55 mmHg)